Ratio of diameter of retinal arteriole to retinal venule is -
1. 3:02
2. 2:03
3. 3:01
4. 1:03

Correct answer: 2. 2:03

Explanation: Answer- B. 2:3The ratio has been normally regarded as 2 : 3